Oncocytic carcinoma arises from
1. Perivascular tissue
2. Glomerulus
3. Loop of henle
4. Collecting duct

Correct answer: 4. Collecting duct

Explanation: Refer Robbins 8/e p964, 9/ep953 Oncocytoma This is an epithelial neoplasm composed of large eosinophilic cells having small, round, benign-appearing nuclei that have large nucleoli. It is thought to arise from the intercalated cells of collecting ducts, and accounts for approximately 5% to 15% of renal neoplasms. Ultra-structurally the eosinophilic cells have numerous mitochondria. In gross appearance, the tumors are tan or mahogany brown, relatively homogeneous, and usually well encapsulated with a central scar in one-third of cases. However, they may achieve a large size (up to 12 cm in diameter). There are some familial cases in which these tumors are multicentric rather than solitary.